The most common ocular motility problem in thyroid myopathy is due to involvement of-
1. Medial rectus
2. Superior rectus
3. Inferior rectus
4. Inferior oblique

Correct answer: 3. Inferior rectus

Explanation: *Order of involvement (Mnemonic : IM SLO):- Inferior rectus > medial rectus > superior rectus > Laterial rectus > oblique. Ref: Head & Neck Surgery 2nd/e p.1513